Among the following, which of the following is/are the greatest contributor/contributors to global warming as a consequence of human activities and life style ?
1. Carbon dioxide
2. Chlorofluorocarbons
3. Methane
4. Ozone

Correct answer: 1. Carbon dioxide